A32-year old African-American male presents with recurrent edema of the feet and periorbital swelling. He has a history of high risk sexual behavior. The blood pressure was 110/85 mm Hg. Results of the laboratory investigations are as follows : HBs Ag : Negative Blood glucose : Normal HIV ELISA : Positive 24-hour urine protein : 3.9 g Urine microscopy : Fatty casts, oval fat bodies. An H and E stain of the renal biopsy is most likely toshow-
1. Segmental sclerosis of some of the glomeruli
2. Diffuse thickening of the glomerular basement membrane
3. Hypercellular glomeruli with thickening of the GBM
4. Proliferation of the parietal cells filling of the Bowman's space

Correct answer: 1. Segmental sclerosis of some of the glomeruli

Explanation: Renal disease Acute kidney injury is common, usually due to acute infection or nephrotoxicity of drugs (e.g. tenofovir ), amphotericin B HIV-associated nephropathy (HIVAN) is the most important cause of chronic kidney disease (CKD) and is seen most frequently in patients of African descent and those with low CD4 counts. Progression to end-stage disease is more rapid than with most other causes of CKD, and renal size is usually preserved. HIVAN presents with nephrotic syndrome, CKD or a combination of both. ART has some effect in slowing progression of HIVAN. Other important HIV-associated renal diseases include HIV immune complex kidney diseases and thrombotic microangiopathy. With the overall improvement in life expectancy from ART, conditions such as diabetes mellitus, hypertension and vascular disease add to the burden of CKD. Outcomes of renal transplantation are good in patients on ART. Ref Harrison20th edition pg 997